'Cafeteria approach' is related with which of the following?
1. National Iodine Deficiency Disorder Programme
2. National Anemia Prophylaxis Programme
3. Reproductive and Child Health Programme
4. National Vector Borne Disease Control Programme

Correct answer: 3. Reproductive and Child Health Programme

Explanation: Cafeteria approach is a component of GATHER approach for contraceptive counselling in Reproductive and Child Health Program. The method-mix in this programme includes five official methods -- female sterilisation, male sterilisation, intrauterine contraceptive device (IUCD), oral contraceptives, and condoms. GATHER approach for contraceptive counseling; Greet (the couple) Ask (their requirement of contraception) Tell (them about available methods suitable to their need) Help (them choose best method as per their requirement) Explain (use, side effects, failure) Return visit.